Contact dermatitis is an example of--HS
1. Type I
2. Type II
3. Type III
4. Type IV

Correct answer: 4. Type IV

Explanation: Ans: d (Type IV) Ref: Robbins, 7th ed, p. 217Contact dermatitis is an example of tissue injury resulting from delayed hypersensitivityExample-Type I HSTheobald Smith phenomenonPK reactionCasoni'stestAtopic dermatitisExample- Type III HSShick testPost streptococcal GNSLEPANExample- Type II HSBlood transfusionHaemolytic anaemiaAgranulocytosisITPGood pasture's syndromeExample- Type IV HSTuberculin testLepromin testContact dermatitisJones mote reactionRheumatoid arthritis Hashimotos thyroiditisPernicious anaemia# Atopic dermatitis is Type I HS; contact dermatitis is Type IV HS# Type I lepra reaction is Type IV HS; ENL is Type III HS# Type I DM is Type IV HS; Type II DM is Type II HS# Hyperacute rejection is Type III HS; acute rejection Type II HS; chronic rejection Type IV HS